Pseudounipolar cells
1. Sympathetic ganglia
2. Parasympathetic
3. Cranial nerve ganglion
4. Dorsal Root Ganglion

Correct answer: 4. Dorsal Root Ganglion

Explanation: Ans. (d) Dorsal Root Ganglion(Ref: Ganong, 25th ed/p.86)Pseudo unipolar neuron* Are variants of bipolar cells in which one ends goes to the spinal cord and the other end goes to peripheral skin* Example- Dorsal root ganglion cell